Monosaccharide with no Asymmetric Carbon- atom-
1. a) Ribulose
2. b) Erythrulose
3. c) Xylulose
4. d) Dihydroxyacetone

Correct answer: 4. d) Dihydroxyacetone

Explanation: - CH2OH | C=O | CH2OH